The MTP Act was passed in the year ?
1. 1971
2. 1976
3. 1982
4. 1988

Correct answer: 1. 1971

Explanation: 1971